Ego's defence mechanism "Undoing" is typically seen in -
1. Depression
2. Schizophrenia
3. Obsessive compulsive neurosis
4. Hysteria

Correct answer: 3. Obsessive compulsive neurosis

Explanation: Undoing is seen in OCD.